Features of Barrett's esophagus are :a) Metaplasiab) Always gastric type of epitheliumc) Adenocarcinoma more commond) Present as patchy or ring involvement
1. abc
2. acd
3. bc
4. bde

Correct answer: 2. acd

Explanation: In barrett's esophagus red, velvety metaplastic mucosa is seen between the smooth pale pink esophageal squamous mucosa and the lusher lightbrown gastric mucosa. It may present as patches or as a broad irregular circumferential band.